All of the followings are classic triad for congenital rubella syndrome; except:
1. Sensory neural deafness
2. Cataract
3. Patent ductus arteriosus
4. Micrognathia

Correct answer: 4. Micrognathia

Explanation: Congenital rubella syndrome : --> Triad of